Following are larval control measures except?
1. DDT
2. Paris green
3. Gambusia fish
4. Intermittent irrigation

Correct answer: 1. DDT